What is the dose of Adrenaline given intravenously in cardiac arrest victim-
1. 10 ml 1 in 10,000
2. 1 ml 1 in 10,000
3. 2 ml 1 in 1000
4. 10 ml 1 in 1000

Correct answer: 1. 10 ml 1 in 10,000

Explanation: Adrenaline given IV is given in 1 in 10,000 concentration. 10 ml 1 in 10000 is given . REMEMBER : 1mg in 10ml